All of the following has HLAB27 associated with uveitis except -
1. Ankylosing spondylitis
2. Reiters syndrome
3. Behcets syndrome
4. None of the above

Correct answer: 3. Behcets syndrome

Explanation: Ankylosing spondylitis and Reiters syndrome: both involves young males who are positive for HLA-B27. Behcets syndrome: The disease typically affects the young men who are positive for HLA-B51.